Section for expert witness under IEA is -
1. 45
2. 32
3. 154
4. 65B

Correct answer: 1. 45

Explanation: Ans. is 'a' i.e. 45 IEA sec 45 - Opinions of experts.-When the Court has to form an opinion upon a point of foreign law or of science or art, or as to identity of handwriting , the opinions upon that point of persons specially skilled in such foreign law, science or art, are relevant facts. Such persons are called experts.IEA sec 65B - Admissibility of electronic recordsLEA sec 32 - Cases in which statement of relevant fact by person who is dead or cannot be found, etc ., is relevantIEA sec 154 - Question by party to his own witness.